Jeep disease is also known as:
1. Anal incontinence
2. Hemorrhoids
3. Pilonidal sinus
4. Anal fissure

Correct answer: 3. Pilonidal sinus

Explanation: Ans. C: Pilonidal sinus